CSF pressure (lumbar)
1. 70 - 180 mm CSF
2. 50 - 100 mm CSF
3. > 200 mm CSF
4. 150 - 200 mm CSF

Correct answer: 1. 70 - 180 mm CSF

Explanation: 5-15mmHg OR 65- 200 mm CSF/water